Lymphatics of tip of the tongue drain into
1. Submadibular Lymph Nodes
2. Jugulodigastric Lymph Nodes
3. Submental Lymph Nodes
4. Jugulo - Omohyoid Lymph Nodes

Correct answer: 3. Submental Lymph Nodes